True about specificity-
1. True positive
2. False positive
3. True negative
4. False negative

Correct answer: 3. True negative

Explanation: Ans. is 'c' Le., True negative o When a screening test is used to diagnose a disease, the test oucome can be positive (diseased) or negative (healthy), while the actual health status of the person may be different,o In that settingi) True positive-Diseased people correctly diagnosed as diseased.ii) False positive-Healthy people wrongly identified as diseased.iii) Tme negative-Healthy people correctly identified as healthy.iv) False negative-Diseased people wrongly identified as healthy.o There are two major statistical measures for the validity of a screening test: -i) Sensitivityii) SpecificitySensitivityo It is the ability of a test to identify correctly all those who have the disease, i.e., true positive.o In other words sensitivity measures the precentage of sick people who are identified as having disease,o For example if a test is 90% sensitive, that means out of 100 diseased people, it will diagnose 90 (90% of diseased people will be diagnosed). Remaining 10% will be wrongly indentified as not having the disease, i.e., false negative.Specificityo It is the ability of a test to identify correctly those who do not have the disease i.e., true negativeo In other words specificity measures the percentage of well people who are identified as not having the disease,o For example, a 90 percent specificity' means that 90% of nondiseased people will be identified as not having the disease. The remaining 10% will be wrongly classified as diseased, i.e., false positive.